All are true regarding golgi tendon organ, EXCEPT:
1. Inverse stretch reflex
2. Detects changes in muscle length
3. Inhibits alpha motor neuron
4. Encapsulated sensory receptor

Correct answer: 2. Detects changes in muscle length

Explanation: Golgi tendon organs are encapsulated sensory receptors through which muscle fibres pass. They are stimulated by increased tension in the connecting muscle thus it basically detects muscle tension. It is the receptor for inverse stretch reflex and when stimulated it causes inhibiton of alpha motor neurons. Ref: Ganong's Review of Medical Physiology, 22nd Edition, Page 131